Which of the following events is involved in cleavage of the zygote during week 1 of development?
1. A series of meiotic divisions forming blastomeres
2. Production of highly differentiated blastomeres
3. An increased cytoplasmic content of blastomeres
4. A decrease in size of blastomeres

Correct answer: 4. A decrease in size of blastomeres

Explanation: Cleavage is a series of mitotic divisions by which the large amount of zygote cytoplasm is successively partitioned among the newly formed blastomeres. Although the number of blastomeres increases during cleavage, the size of individual blastomeres decreases until they resemble adult cells in size.